A six year old child patient has blue-dome shaped swelling in posterior mandibular region, what will be the treatment plan?
1. Reassure the patient without any treatment
2. Excise the Lesion
3. Marsupialization
4. Surgical Excision

Correct answer: 1. Reassure the patient without any treatment